False about Gastric lymphoma is
1. Stomach is the most common site
2. Associate with H. pylori infection
3. Total gastrectomy with adjuvant chemotherapy is the treatment of choice
4. 5 yr survival rate after treatment is 60%

Correct answer: 3. Total gastrectomy with adjuvant chemotherapy is the treatment of choice

Explanation: Since gastric lymphomas are having strong relation with H pylori infection, primary chemotherapy with anti-helicobacter pylori regime often with radiotherapy is the standard treatment. H pylori regime with immunotherapy (rituximab with fludarabine) and chemotherapy (oral cyclophosphamide or oral chlorambucil; it cladribine ) is used Reference SRB 5th edition page no.856